Which of the following is zidovudine (AZT) a treatment for?
1. retroviral infection
2. pneumocystis carinii pneumonia
3. Kaposi sarcoma
4. toxoplasmosis

Correct answer: 1. retroviral infection

Explanation: AZT is beneficial to patients with HIV infection, but the best time at which to commence therapy is still controversial. Common side effects include fatigue, macrocytic anemia, neutropenia, and myopathy. Treatment regimens now include protease inhibitors as well. Monotherapy with AZT results in development of resistance.